Bence jones proteins are associated with
1. Hodgkin's lymphoma
2. Multiple myeloma
3. Burkitt's Lymphoma
4. Infectious mononucleosis

Correct answer: 2. Multiple myeloma